Which ligament is involved in Pes planus of foot ?
1. Spring ligament
2. Deep transverse ligament
3. Long and short plantar ligament
4. Deltoid ligament

Correct answer: 1. Spring ligament

Explanation: PES PLANUS Condition in which medial longitudinal arch of foot is diminished or absent and foot is come in contact with the ground People with hypertrophied planter foot muscles (lifelong barefoot walkers) might appear to have flat feet, when their bony arches are normal. TYPES 1. developmental or acquired 2. Flexible or fixed IN CHILDREN 1. pes planus can be a part of normal development 2. Abnormal development of foot IN ADULTS 1. Physiological pes planus 2. Adult acquired pes planus ref : maheswari 9th ed